Congenital lactic acidosis may occur d/t defect in
1. Pvruvate decarboxylase
2. PDH complex
3. Transketolase
4. a-ketoglutarate dehydrogenase

Correct answer: 2. PDH complex

Explanation: B i.e. PDH complex